Lesch-Nyhan syndrome is due to the deficiency of which enzyme?
1. Glucose 6- phosphatase
2. Glutathione reductase
3. PRPP glutamyl-amidotransferase
4. Hypoxanthine-guanine phosphoribosyl transferase

Correct answer: 4. Hypoxanthine-guanine phosphoribosyl transferase

Explanation: (D) Hypoxanthine-guanine phosphoribosyl transferase # LESCH-NYHAN SYNDROMEis a sex-linked metabolic disorder since the structural gene for HGPRT is located on the X-chromosome.> It affects only the males and is characterized by excessive uric acid production (often gouty arthritis), and neurological abnormalities such as intellectual disability, aggressive behaviour, learning disability etc.> The patients of this disorder 'nave an irresistible urge to bite their fingers and lips, often causing self-mutilation.